True about Wilsons disease is?
1. Increased serum ceruloplasmin
2. Decreased liver copper
3. Increased urinary copper excretion
4. Decreased urine copper excretion

Correct answer: 3. Increased urinary copper excretion

Explanation: Ans. is 'c' i.e., Increased urinary copper excretion